Which of the following is the main constituent of porcelain:
1. Feldspar
2. Kaolin
3. Quartz
4. Clay

Correct answer: 1. Feldspar